All are the borders of each cerebral hemisphere except
1. A.Superomedial border
2. B.Inferolateral border
3. C.Medial orbital border
4. D.Lateral orbital border

Correct answer: 4. D.Lateral orbital border

Explanation: Each cerebral hemisphere has four borders 1.Superomedial border seperates the superolateral surface from the medial surface. 2.inferolateral border seperates the superolateral surface from the inferior surface.The anterior part of this border is called the superciliary border.There is a depression on the inferolateral border situated about 5 cm in front of the occipital pole,it is called the preoccipital notch. 3.Medial orbital border seperates the medial surface from the orbital surface. 4.Medial occipital border seperates the medial surface from the tentorial surface. Ref.B D Chaurasia's human anatomy vol.3